The tissue macrophages are derived from the
1. Neutrophil
2. Eosinophil
3. Monocyte
4. All of the above

Correct answer: 3. Monocyte